Vaccine against capsulated organism given how many weeks before splenectomy ?
1. 1 week
2. 2 week
3. 4 week
4. 6 week

Correct answer: 2. 2 week

Explanation: Answer- B. 2 weekPneumococcal polysaccharide (PPSV) vaccination; If elective splenectomy is planned, vaccinate at least 2 weeks before surgery.